First line of therapy in treatment of shock:
1. Antibiotics
2. Ionotropic agents
3. Chronotropic agents
4. IV fluids

Correct answer: 4. IV fluids

Explanation: In all cases of shock, regardless of classification, hypovolemia and inadequate preload must be addressed before other therapy is instituted. First-line therapy, therefore, is intravenous access and administration of intravenous fluids.